Treatment of choice for the annular pancreas is
1. Gastro jejunostomy
2. Pancreatectomy
3. Whipple's procedure
4. Duodeno duodenostomy

Correct answer: 4. Duodeno duodenostomy

Explanation: Annular pancreas is the most common congenital malformation of the pancreas in association with duodenal atresia.Two types of the annular pancreas are recognized. (1) Extramural - causing high gastrointestinal (duodenal) obstruction; vomiting is the most common presenting symptom (2) Intramural - producing duodenal ulcerationAssociated with polyhydramnios, Down syndrome.ERCP is the most important procedure to find the characteristic features and establish the therapeutic strategy in cases of annular pancreas. Division of annular pancreas is not recommended because of the risk of damage to the major duct.